Lymph from glans penis drains into -
1. Superficial inguinal nodes
2. Deep inguinal lymph nodes
3. Obturator nodes
4. Internal iliac nodes

Correct answer: 2. Deep inguinal lymph nodes

Explanation: Most of the penis, except the glans, drains into superficial inguinal lymph nodes. The glans drains into deep inguinal lymph nodes.